Drugs causing dilated cardiomyopathy are all except
1. Daunorubicin
2. Trastuzumab
3. Doxorubicin
4. Sacubitril

Correct answer: 4. Sacubitril

Explanation: Sacubitril  is used in treatment of dilated cardiomyopathy